The primary disturbance in schizophrenia is
1. Hallucination
2. Illusion
3. Psychomotor Retardation
4. Formal Thought Disorder

Correct answer: 4. Formal Thought Disorder

Explanation: D i.e. Formal thought disorder